Sphincter of Lutkans seen in
1. Cystic duct
2. Common bile duct
3. Pancreatic duct
4. Ampulla of vater

Correct answer: 1. Cystic duct

Explanation: The mucosa of the cystic duct is arranged in spiral folds known as the valves of Heister and the wall is surrounded by a sphincteric structure called the sphincter of Lutkens.The mucous membrane contains indentations of the mucosa that sink into the muscle coat; these are the crypts of Luschka.Ref: Bailey and Love 27th edition Pg: 1188